All of the following organisms are known to survive intracellularly except
1. Neisseria meningitides
2. Salmonella typhi.
3. Streptococcus pyogenes
4. Legionella pneumophila

Correct answer: 3. Streptococcus pyogenes

Explanation: 1. Streptococcus pyogenes grows extracellular and causes pyogenic infection. 2. Intracellular bacteria are - Listeria monocytogenes Legionella Yersinia Salmonella typhi Shigella Neisseria Mycobacterium Francisella tularensis Pneumococci. 3. Obligate intracellular (Rickettsia, Chlamydia).